Following is seen in both Apoptosis and necrosis
1. Both may be physiological
2. Both may be pathological
3. Inflammation
4. Intact cell membrane

Correct answer: 2. Both may be pathological

Explanation: Ref, Robbins 9/e p40 .